An old man with hypertension and BP 210/110 mm Hg is classified into Severe hypertension. Scale used is
1. Nominal
2. Ordinal
3. Interval
4. Ration

Correct answer: 2. Ordinal

Explanation: ORDINAL SCALEScale on which data is shown simply in order of magnitude, since there is no standard of measurement of differences - Categories are organized as a continuum - In the given question, If BP is measured as absolute quantified numbers (E.g. BP 210/110), it should be measured on Metric scale If BP is categorized as Mild-Moderate-Severe, it will become Ordinal scale